Following are radio-logical features of scurvy except –
1. Bony thickening
2. Metaphyseal widening
3. Metaphyseal calcification
4. Epiphyseal separation

Correct answer: 2. Metaphyseal widening

Explanation: Radiological feat res of scurvy

The typical radiological features occur at the ends of long bones, particularly around knee, i.e. lower end of femur and upper end of tibia. Other common site is proximal end of humerus.
Features are -

Li Ground glass appearace of bone

Pencil thin cortex


White line offraenkel ---> represents well calcified cartilage in metaphysis.


Wimburger sign white ring surrounding the epiphyseal centres of ossification.


Zone of rarefaction under the white line —> represents a linear break in the bone, proximal and parallel to white line and epiphyseal separation may occur along this line.
Lateral part of this rarefaction is seen as a triangular defect.
Palkan spur or lateral spur --> lateral prolongation of white line.
During healing phase, subperiosteal hemorrhages becomes calcified and the affected bone assumes a dumbbell or club shape.

Remember
White line of fraenkel is seen in -

Scurvy
Healing rickets
Plumbism 
Acute leukemia
Severe protein energy malnutrition
Congenital syphilis